Beta oxidation in peroxisome generate:
1. NADPH
2. H2O2
3. Long chain fatty acid
4. FADH2

Correct answer: 2. H2O2

Explanation: Ans. B. H2 O2 (Ref: Harper 31/e page 210)A modified form of b-oxidation is found in peroxisomes and leads to the formation of acetyl-CoA and H2 O2 (from the flavoprotein-linked dehydrogenase step), which is broken down by catalase. Thus, this dehydrogenation in peroxisomes is not linked directly to phosphorylation and the generation of ATP. The system facilitates the oxidation of very long chain fatty acids (e.g., C20 , C22 ). The enzymes in peroxisomes do not attack shorter chain fatty acids; the b-oxidation sequence ends at octanoyl-CoA.